A 75-year-old woman was recently started on furosemide to treat pedal edema. She describes a loss of energy and a light-headed sensation when arising from a seated position. Her arterial blood gases indicate pH of 7.53 PaCO2 of 52 mmHg, HCO3- of 32 mEq/L.Serum chemistries show the following levels: Na = 129 mEq/L Cl- = 90 mEq/L K = 3.0 mEq/L Glucose = 120 mg/dL These findings are suggestive of
1. Metabolic alkalosis
2. Metabolic acidosis
3. Respiratory acidosis
4. Respiratory alkalosis

Correct answer: 1. Metabolic alkalosis

Explanation: pH < 7.35 and PaCO2 < 40 mm Hg indicate metabolic acidosis
pH < 7.35 and PaCO2 > 40 mm Hg signify respiratory acidosis
pH > 7.45 and PaCO2 > 40 mm Hg indicate a metabolic alkalosis
pH > 7.45 and PaCO2 < 40 mm Hg signify respiratory alkalosis
The pH is > 7.35 Therefore, it is a case of alkalosis.
The PaCO2 is > 40 mm Hg; Therefore, the process is metabolic alkalosis. (pH > 7.45 and PaCO2 > 40 mm
Hg indicate a metabolic alkalosis) This is confirmed by the bicarbonate level (32 mEq/L)